Orally administered anti kala-azar drug is
1. Paromomycin
2. Miltefosine
3. Amphotericin
4. Sodium stibogluconate

Correct answer: 2. Miltefosine

Explanation: Ans. is 'b' i.e., Miltefosine o Drugs used for kala-azar :- o Parentral : Amphotericin-B (iv), Paromomycin (im), sodium stibogluconate (iv or im). Oral : Miltefosine